Carman's meniscus sign is seen in
1. Benign Gastric ulcer
2. Malignant Gastric ulcer
3. Both
4. Intestinal obstruction

Correct answer: 2. Malignant Gastric ulcer

Explanation: Benign ulcer - Hampton's ulcer.
Malignant ulcer - Carman's Meniscus sign.